50 yr old smoker, obese , hypertension patient is having loud snoring . He has > 5 episodes of apnea per hour of sleep. What is the next best management for improvement of his symptom ?
1. Uvulopalatoplasty
2. C.P.A.P
3. Weight reduction and diet control
4. Mandibular reposition surgery

Correct answer: 2. C.P.A.P

Explanation: C.P.A.P is the best management out of all . It has better outcomes in comparison to other techniques in terms of apneas ,hypoapneas , nocturnal oxygenation , symptoms and quality of life .